Most common organ involved in blunt injury to the abdomen:
1. Spleen
2. Liver
3. Intestines
4. Kidney

Correct answer: 1. Spleen

Explanation: - Most common organ involved in blunt injury to the abdomen - spleen > liver - Most common organ involved in penetrating trauma - liver > stomach > small intestine - Most common organ involved in gun shot wound to abdomen - small intestine - Most commonly injured bowel in blunt trauma injury to the abdomen - jejunum - Most commonly injured structure in seat belt injury - mesentery - Investigation done in blunt trauma injury FAST (stable /unstable) Ultrasound done within 2-4 minutes Assess 4P (1. pericardial sac, 2. perihepatic region, 3. perispleenic region, 4. Pelvis) - Gold standard invasion in stable patient in blunt trauma abdomen - CECT